Mesna is given with cyclophosphamide to :
1. Increase absorption
2. Decreased excretion
3. Ameliorate hemorrhagic cystitis
4. Decrease metabolism

Correct answer: 3. Ameliorate hemorrhagic cystitis